Most common location of anorectal fistula
1. Intersphincteric
2. Transsphincteric
3. Suprasphincteric
4. Extrasphincteric

Correct answer: 1. Intersphincteric

Explanation: Park classification of anorectal fistula is
Type 1. Intersphincteric - most common
Type 2. Transsphincteric
Type 3. Suprasphincteric
Type 4. Extrasphincteric